Cetuximab and rituximab are ?
1. Humanized monoclonal antibodies
2. Murine monoclonal antibodies
3. Chimeric monoclonal antibodies
4. Antinuclear antibodies

Correct answer: 3. Chimeric monoclonal antibodies

Explanation: Ans. is 'c' i.e., Chimeric monoclonal antibodies